Oligohydramnios is seen in:
1. Renal agenesis
2. Cholangioma of placenta
3. Spina bifida
4. Esophageal atresia

Correct answer: 1. Renal agenesis

Explanation: Oligohydramnios can be caused by - Renal anomalies Uteroplacental insufficiency: IUGR ACE inhibitors Premature rupture of membranes Amniocentesis (leak) Pre-ecclampsia Amnion nodosum NSAIDs Post term pregnancy over estimated gestational age The sonographic diagnosis of oligohydramnios is usually based on an AFI < 5 cm or a single deepest pocket of amnionic fluid of < 2 cm